Dentinal tubules are
1. Concave
2. Straight
3. S-shaped
4. None of the above

Correct answer: 3. S-shaped